The structures leaving the pelvis through the greater sciatic notch and entering via lesser notch are all except-
1. Nerve to obturator internus
2. Internal pudendal vessels
3. Pudendal nerve
4. Nerve to quadratus femoris

Correct answer: 4. Nerve to quadratus femoris

Explanation: Among the given options, all the three except nerve to quadratus femoris, leaves the pelvis through greater sciatic foramen and re-enters through lesser sciatic foramen.